Dietary modification to prevent cardiovascular disease is -
1. Primary prevention
2. Secondary prevention
3. tertiary prevention
4. Quartenary prevention

Correct answer: 1. Primary prevention

Explanation: Ans. is 'a' i.e., Primary prevention * Primordial!primary prevention is the best policy for CHD as well as other non-communicable diseases. It includes following:i) Change in life styleii) Exerciseiii) BP monitoringiv) Dietary modification (prudent diet)v) Salt restriction